All of the following statements about the differences between self-polymerizing acrylic
resins and heat—cured resins are true EXCEPT
1. The former have a lower molecular weight
2. The former have higher residual monomer content
3. The former are more porous
4. The former have greater transverse strength

Correct answer: 4. The former have greater transverse strength